Which of the following structure is not related to cavernous sinus:
1. Abducent nerve
2. Optic nerve
3. Ophthalmic nerve
4. Trochlear nerve

Correct answer: 2. Optic nerve

Explanation: Five structures in lateral wall of cavernous sinus
1. Oculomotor nerve
2. Trochlear nerve
3. Ophthalmic nerve
4. Maxillary nerve
5. Trigeminal ganglion
Note: Internal carotid artery wrapped in its venous and sympathetic plexus along with abducent nerve passes through the center of cavernous sinus.